Histoplasma capsulatum is:
1. Has wide capsule
2. Dimorphic fungi
3. A Protozoal agent
4. Amphoricin-B resistant

Correct answer: 2. Dimorphic fungi

Explanation: Dimorphic fungi